Which of the following is the national system that provides annual national as well as state reliable estimates of fertility and Mortality
1. Civil registration system
2. Census
3. Ad-hoc survey
4. Sample registration system

Correct answer: 4. Sample registration system

Explanation: Sample registration system (SRS) : Was initiated in 1964-65 (on a pilot basis ; Full scale from 1969-70) to provide national as well as state level reliable estimates of fertility and Mortality SRS is a dual record system Field investigation : Continuous enumeration of births and deaths by an enumerator Independent retrospective survey : Every 6 months by an investigator-supervisor Findings of SRS survey Crude birth rate (CBR) : 20.4 per 1000 mid year population Crude Death rate (CDR) : 6. 4 per 1000 mid year population Natural growth rate : 14% Infant Mortality rate (IMR) : 34 per 1000 live births Ref: Park 23rd edition 904